True regarding cancer colon -
1. Obstructive features are more common with right colon
2. 40% cases at presentation show liver metastasis
3. Resection possible in 25% cases
4. None

Correct answer: 4. None

Explanation: Answer is None Options (b & (c) Ref CSDT 11/e p 723 & 13/e p667 CSDT writes 11/e - "Approximately 10% of lesions are not resectable at the time of operation ,and an additional 20% of patients have liver or other distant metastasis. Hence operation for cure can be performed in only about 70% of patients." 13/e - "Up to 20% of patients have liver or other distant metastases at presentation. However, in selected patients with metastases in whom all metastatic disease can be completely resected, operation for cure should be performed." This is the maximum I could get about the percentages, however reading this, both the given option don't appear to be true.